A 32 year old man presented with various signs and symptoms after consuming crab from a local restaurant. Which can be transmitted through crab?
1. Diphyllobothrium
2. Clonorchis sinensis
3. Paragonimus westermanii
4. Enterobius

Correct answer: 3. Paragonimus westermanii

Explanation: Crab and crayfishes are sources of infection with lung fluke or paragonimus westermanii. It may cause a sub-acute to chronic inflammatory disease of the lung. Ref: Arora.Medical parasitology 4th ed pg. 5